Appearance of cowdry type A inclusion bodies?
1. Granular
2. Circumscribed
3. In polio
4. None

Correct answer: 1. Granular

Explanation: Ans. is 'a' i.e., Granular Intranuclear inclusion bodies were classified into two types by cowdry : a) Cowdry type A :- These are of variable size and granular in appearance, e.g. in herpesvirus and yellow fever virus. b) Cowdry type B :- These are more circumscribed and often multiple, as with adenovirus and poliovirus.